The following antiasthma drug is not a bronchodilator
1. Ipratropium bromide
2. Theophylline
3. Sodium cromoglycate
4. Formoterol

Correct answer: 3. Sodium cromoglycate

Explanation: Bronchodilators :- a) b2 Sympathomimetics: Salbutamol, Terbutaline, Bambuterol, Salmeterol, Formoterol, Ephedrine. B) Methylxanthines: Theophylline (anhydrous), Aminophylline, Choline theophyllinate, Hydroxyethyl theophylline, Theophylline ethanolate of piperazine, Doxophylline. C) Anticholinergics: Ipratropium bromide, Tiotropium bromide. Sodium cromoglycate:- mech of action :- It inhibits degranulation of mast cells by trigger stimuli(MAST CELL STABILISER). Bronchospasm induced by allergens,irritants,coldair and exercise may be attenuated. It is also not a bronchodilator and does not antagonize constrictor action of histamine, ACh, LTs, etc. Therefore, it is ineffective if given during an asthmatic attack. Pharmacokinetics:- Sod. cromoglycate is not absorbed orally. It is administered as an aerosol through metered dose inhaler it is rapidly excreted unchanged in urine and bile. uses:- 1. Bronchial asthma: Sod. cromoglycate is a long-term prophylactic in mild-to-moderate asthma. Decrease in the frequency and severity of attacks is more likely in extrinsic (atopic) and exercise-induced asthma, especially in younger patients. 2. Allergic rhinitis 3. Allergic conjunctivitis Ref:- kd tripathi; pg num:- 222,229